In gate control theory of pain, pain is modulated by:
1. A-delta fibres.
2. Substantia gelatinosa.
3. B fibres.
4. C fibres.

Correct answer: 2. Substantia gelatinosa.